Children born to mothers with systemic lupus erythematosus are likely to have one of the following anomalies –
1. Atrial septal defect
2. Tetralogy of fallot
3. Transposition of great vessels
4. Complete heart block

Correct answer: 4. Complete heart block

Explanation: Maternal lupus erythmatosus has been associated with a high incidence of congenital heart block in offspring.